"Kayser - Fleischer rings" seen in
1. Wilson's disease
2. a -1 Antitrypsin deficiency
3. Haemochromatosis
4. Primary biliary cirrhosis

Correct answer: 1. Wilson's disease

Explanation: (Wilson's disease) (648 - HM) (656- Basic pathology 8th)* Greenish brown pigmented rings in the periphery of the cornea (Kayer - Fleischer rings) seen in Wilson's disease* In wilson disease, deposition of copper occurs